The most potent stimulator of naive T cells is -
1. B cell
2. Mature dendritic cells
3. Epithelial cells
4. Macrophages

Correct answer: 2. Mature dendritic cells

Explanation: Ans. is 'b' i.e., Mature dendritic cells Naive T cellThese are newly produced T cells.This is a T cell arising from immune system production of fresh cells in bone marrow.These cells respond to the newly encountered pathogens containing antigens which the immune system has not processed before.The naive T cell activation and proliferation create an acquired immunity to the newly encountered pathogen.After the disease is eradicated a small portion of T cell population engendered by activated Naive T cell constitute a reservoir of Memory T cell which proliferate and respond very quickly to the recurrence of disease.Proliferation of Naive T cells.Dendritic cells and dendritic cell derived cytokines are the most potent stimulator for proliferation of Naive T cells.